Astrocytes are seen to be developed from which layer?
1. Mesoderm
2. Neuroectoderm
3. Endoderm
4. None

Correct answer: 2. Neuroectoderm

Explanation: Ans. is 'b' i.e., Neuroectoderm Glial cells ofCNS1) Macroglia (derived from neuroectoderm) :- Astrocytes, oligodendrocytes, ependymal cells, schwann cells.2) Microglia (derivedfrom mesoderm).